Root value of achilles reflex ?
1. L1,L2
2. L3,L4
3. S3, S4
4. S1,S2

Correct answer: 4. S1,S2

Explanation: The Achilles reflex checks if the S1 and S2 nerve roots are intact and could be indicative of sciatic nerve pathology . It is classically delayed in hypothyroidism . This reflex is usually absent in disk herniations at the L5--S1 level. A reduction in the ankle jerk reflex may also be indicative of peripheral neuropathy ref - pubmed.com